The long and less divergent walls of a cast restoration result in:
1. Increased tensile strength
2. Decreased tensile strength
3. Increased retention
4. Decreased retention

Correct answer: 3. Increased retention

Explanation: The gingival-to-occlusal divergence of these preparation walls may range from 2 to 5 degrees per wall from the line of draw. If the vertical walls are unusually short, a maximum of 2 degrees occlusal divergence is desirable to increase retention potential. 
As the occlusogingival height increases, the occlusal divergence should increase because lengthy preparations with minimal divergence (more parallel) may present difficulties during the seating and withdrawal of the restoration.

Sturdevant operative dentistry  7th Edition, Page No:120